A drug which reduces mortality but does not cure a disease will gradually lead to
1. Incidence and prevalence both increase
2. Incidence and prevalence both decrease
3. Incidence increases while prevalence decreases
4. Incidence same, prevalence increases

Correct answer: 4. Incidence same, prevalence increases

Explanation: Prevalence = Incidence * Duration of illnessIf the drug reduces mortality but cannot cure the disease, duration of illness increases. So, prevalence increases.This drug has no influence on the cause, so incidence remains the same.